Feature indicative of anti-mortem drowning is:
1. Cutis anserina
2. Rigor mortis
3. Washerwomans feet
4. Grass and weeds grasped in the hand

Correct answer: 4. Grass and weeds grasped in the hand

Explanation: Grass and weed grasped in the hand is an indicative of anti-mortem drowning. Ref: Parikh's Textbook of Medical Jurisprudence Forensic Medicine and Toxicology, 5th Edition, Pages 214, 219 and 6th Edition, Pages 3.66-67